Tumor with appearance and consisteny of grape like clusters is ?
1. Embryonal rhabdomyosarcoma
2. Embryonal cell carcinoma
3. Adenocarcinoma
4. Clear cell carcinoma

Correct answer: 1. Embryonal rhabdomyosarcoma

Explanation: Ans. is 'a' i.e., Embryonal rhabdomyosarcomaCarcinosarcoma of uterusCarcinosarcomas consist of endometrial adenocarcinoma in which malignant sarcomatous (stromal) differentiation takes place.